The ideal restoration following pulpotomy in a primary tooth is:
1. Amalgam
2. Glass ionomer
3. Composite
4. Stainless steel crown

Correct answer: 4. Stainless steel crown

Explanation: Stainless steel crown is a semi-permanent restoration used in the primary and young permanent teeth. 
It was introduced as chrome-steel crown by Humphrey in 1950, which proved to be a favour to clinical pediatric dental practice. 
Now, it is commonly called stainless steel crown.
Stainless steel crown is an efficient and reliable method of restoration of deciduous dentition. It is also the most advantageous system of restoration because of its retention and resistance.

Shobha Tandon 2nd Ed P:315